Duration of apnea in OSAS is
1. > 10 seconds
2. > 20 seconds
3. > 30 seconds
4. > 60 seconds

Correct answer: 1. > 10 seconds